Munro microabscess is seen in
1. Dermal tissue
2. Stratum basale
3. Stratum corneum
4. Stratum malphigi

Correct answer: 3. Stratum corneum

Explanation: Munro's microabscess is seen in psoriasis it is the accumulation of neutrophils in stratum corneum The changes were seen in a fully developed plaque in psoriasis: Parakeratosis with focal ohokeratosis and Munro's microabscess, near absence of granular layer and spongiform pustules in the Malpighian layer and hyperplasia and elongation of rete ridges and supra-papillary thinning. Munro microabscesses are not seen in seborrheic dermatitis. It is named for William John Munro. spngiform pustule of kogoj is seen in stratum spinosum, in pustular psoriasis. pautrier's microabscess (collection of lymphocytes) is seen in Mycosis fungoides also known as cutaneous T Cell lymphoma. Ref Harrison 20th edition pg 1207